Hurthle cells are seen in:
1. Granulomatous thyroid disease
2. Hashimoto's thyroiditis
3. Papillary carcinoma of thyroid
4. Thyroglossal cyst

Correct answer: 2. Hashimoto's thyroiditis

Explanation: Hurthle cells (Oncocytes) are epithelial cells with abundant eosinophilic, granular cytoplasm. They are seen in the following conditions: Hashimoto's thyroiditis Follicular adenoma of thyroid Follicular carcinoma of thyroid